Immunoglobulin changes in variable region -
1. Idiotype
2. Isotype
3. Allotype
4. Epitope

Correct answer: 1. Idiotype

Explanation: an idiotype is a shared characteristic between a group of immunoglobulin or T cell receptor (TCR) molecules based upon the antigen binding specificity and therefore structure of their variable region Reff: www.mayoclinic.com